Serum Creatine PhosphoKinase-3 (CPK-3) is elevated in-
1. Muscular dystrophy
2. Myocardial infarction
3. Alcoholic cirrhosis
4. Brain tumours

Correct answer: 1. Muscular dystrophy

Explanation: Musculardystrophy CreatineKinase(CK)or CreatinePhosphokinase(CPK)catalysestheinterconversionof phosphocreatineto creatine. CPKexistsasthreeisoenzymes.Eachisoenzymeisa dimercomposedoftwosubunits- M(muscle)orB (Brain)orboth Isoenzyme SubUnit Tissueoforigin CPK1 BB Brain CPK2 MB Heart CPK3 MM SkeletalMuscle